From which of the following renal oncocytoma arises ?
1. Loop of henle
2. Collecting duct
3. Proximal tubule
4. Bowman's capsule

Correct answer: 2. Collecting duct

Explanation: RENAL ONCOCYTOMA: Benign epithelial neoplasm Arises from the intercalated cells of collecting ducts. Associated with genetic changes : loss of chromosomes 1 and Y Gross appearance- tumors are tan colored ,relatively homogeneous, and well encapsulated with central stellate scar Microscopically- characterized by a plethora of mitochondria which gives them tan color and granular eosinophilic cytoplasm.